Which of the following antimicrobial agents do not require reduction in dose in patients with renal failure?
1. Rifampicin
2. Fluconazole
3. Vancomycin
4. Imipenem

Correct answer: 1. Rifampicin

Explanation: Rifampicin is primarily metabolized in the liver and excreted in bile. Rifampicin does not require dosage adjustment in Renal failure. Ref: Essentials of Medical Pharmacology By K D Tripathi, 5th Edition, Pages 667, 700, 719, 721; KDT 6th Edition, Page 741